Colour change in pyrogallol test for air embolism is
1. Orange to brown
2. Green to yellow
3. Colourless to brown
4. Colourless to pink

Correct answer: 3. Colourless to brown

Explanation: Pyrogallol test : - To detect antemortem air embolism - Gas from the heart on addition to pyrogallol solution will change from colourless to brown in presence of free oxygen